This sound is produced during the closure of the semilunar valves.
1. lubb
2. dupp
3. lubb dupp
4. lubb duppshhh

Correct answer: 2. dupp

Explanation: B: The second heart sound can be represented by dupp. It occurs at the beginning of ventricular diastole and results from the closure of the semilunar valves.
A: The first heart sound can be represented by the syllable lubb. It occurs at the beginning of ventricular systole and results from closure of the AV valves.